Most common cause of facial nerve palsy:
1. Idiopathic Bell's palsy
2. Herpes zoster oticus
3. Mastoid surgery
4. Chronic suppurative Otitis media

Correct answer: 1. Idiopathic Bell's palsy

Explanation: Facial Nerve - Course Intracranial part 15-17mm Intra temporal part Meatal segment 8-10mm Labyrinthine segment 4.0mm Tympanic / horizontal segment 11.0mm Mastoid / vertical segment 13.0mm Extracranial part Branches Greater superficial petrosal nerve 1st branch Nerve to stapedius Chorda tympani Communicating branch Posterior auricular nerve Muscular branches, peripheral branches Causes of facial nerve palsy Most common cause is idiopathic bell's palsy paralysis acute onset Bell's palsy idiopathic, Ipsilateral lower motor neuron palsy Loss of forehead and brow movements Inability to close eyes drooping of eyelids Loss of nasolabial folds, drooping of lower lip herpes zoster oticus/Ramsay hunt syndrome herpes zoster oticus/Ramsay hunt syndrome Mastoid surgery is the most common iatrogenic cause of facial nerve palsy.